Which of these is true of fetal haemoglobin?
1. HbF binds more avidly to to 2,3 DPG
2. HbF is completely replaced by HbA at the time of birth
3. HbA first appears in fetal blood at 11 weeks when bone marrow starts hematopoiesis
4. With Sickle cell anemia very low amounts of HbF is produced

Correct answer: 3. HbA first appears in fetal blood at 11 weeks when bone marrow starts hematopoiesis

Explanation: Hb F binds less avidly to 2,3 DPG than HbA and thus has higher affinity for oxygen than HbA Almost 65 to 90% of haemoglobin at birth is HbF. After birth HbF gamma gene is switched off and HbA beta gene is switched on so more and more HbA is formed. Sickle cell patients have relatively high amounts of fetal Hb. HbA first appears in fetal blood at 11 weeks when bone marrow starts hematopoesis Remember: The fetal hemoglobin starts appearing at 11 weeks, but the 'Switch - Over' from Fetal hemoglobin's utilisation for oxygen transport to Adult haemoglobin for oxygen transport happens at 30-32 weeks...